Enterohepatic circulation occurs in?
1. Duodenum
2. Jejunum
3. Proximal ileum
4. Distal ileum

Correct answer: 4. Distal ileum

Explanation: Ans. is'd'i.e., Distal ileum(Ref: Principles of medical physiology p. j89lAbout 500 ml of bile is secreted per day (20.8 mVhr) by the liver. In the gallbladder, bile is stored and concentrated.After a meal contraction of the gallbladder transfers a large volume of bile into the duodenum. Most of the bile is reabsorbed into terminal ileum and undergoes enterohepatic circulation.